Areas of spontaneous healed part of tympanic membrane are called as
1. Dimeric
2. Pontiac
3. Both of the above
4. None of the above

Correct answer: 1. Dimeric

Explanation: Healed tympanic membrane has only two layers - Epithelial and mucosal layers Middle fibrous layer is absent Ref: Dhingra 7e pg 59.